True about revised National Tuberculosis programme (NTP) – a) Active case findingb) DOTS appliedc) Treatment is given only in smear positive casesd) General practitioners are restricted to give the treatmente) It has replaced NTP
1. ab
2. ad
3. be
4. ce

Correct answer: 3. be

Explanation: Government of India, WHO, and World Bank together reviewed the NTP in the year of 1992. Based on the findings revised strategy for NTP, Revised National tuberculosis control programme was made. Under RNTCP case finding is passive. Patient present them - selves with symptoms suspicious of tuberculosis will be screened.
Treatment is not only given to smear positive person but also to the smear -ve but X-ray features positive person also. Under RNTCP qualified Medical officer of PHC, cadres of health workers and MPWs also involved in programme of case detection and treatment.